A 25 years female was found in room with 1000/0 burns on her body. The tongue was protruding out; body was in pugilistic attitude with heat ruptures, peeling of skin, and heat haematoma and heat fractures of skull. Carboxy hemoglobin was 250/0 and soot particles were present in trachea. Which of the combinations of two findings will establish that the burns were antemortem in nature:
1. Heat haematoma & heat ruptures
2. Heat fracture of skull and peeling of skin
3. Heat haematoma and pugilistic attitude
4. Carboxv hemoglobin (25%) and soot particles in trachea

Correct answer: 4. Carboxv hemoglobin (25%) and soot particles in trachea

Explanation: D i.e. Carboxy hemoglobin 250/0 and shoot particles in trachea